False about YδT-cells
1. Constitute about 5% of total T-cells
2. Lack both CD4 and CD8 molecules
3. Usually found in gut mucosa
4. Part of acquired immunity

Correct answer: 4. Part of acquired immunity

Explanation: YδT-cells are part of innate immunity.